Clinical scenario with bag of worms -
1. Varicocele
2. Hydrocele
3. Torsion of testis
4. Congenital hernia

Correct answer: 1. Varicocele

Explanation: Ans. is 'a' i.e., Varicocele Varicoceleo A varicocele is a varicose (tortuous) dilatation of the vein draining the testis,o Most varcoceles are noticed in adolescence or early adulthood.o The usual sufferers are tall, thin, adult men often living in hot weathero In majority of cases varicocele are left sided (95%), because, the right testicular vein drains directly into the vena cava, where as the left testicular vein oepns at right angle into the left renal vein, which has the high pressure.o Obstruction of the left testicular vein by a renal tumour or after nephrectomy are occasional causes of varicocle in middle age or there asterClinical featureo The patient is usually young adult and it is exclusively found on the left side.o Usually; varicocle is painless and the only complaint of the patient is swelling.o Some patient may present with dragging pain in the scrotum, and the pain worsens on prolonged standing, exertion or if unsupported by underwear.